Gallbladder bile is different from hepatic bile in that it has
1. Less water
2. Less fatty acids
3. More chloride
4. Less solids

Correct answer: 1. Less water

Explanation: Bile is made up of the bile acids, bile pigments, and other substances dissolved in an alkaline electrolyte solution that resembles pancreatic juice. About 500 mL is secreted per day. Some of the components of the bile are reabsorbed in the intestine and then excreted again by the liver (enterohepatic circulation). In addition to its role in digestion and absorption of fats, bile (and subsequently the feces) is the major excretory route for lipid-soluble waste products. Gallbladder bile has more solids and bile acids and less pH than hepatic duct bile.Ref: Ganong's review of medical physiology 23rd edition Page no: 482